Sertoli cells play a key role in which of the following process
1. Spermiogenesis
2. Testosterone secretion
3. Secretion of seminal fluid
4. Production of germ cells

Correct answer: 1. Spermiogenesis

Explanation: Sertoli cells are elongated cells in the seminiferous tubules that ensheathe spermatogenic cells, providing a microenvironment that supports spermiogenesis and spermatocytogenesis; they secrete androgen-binding protein and establish the blood-testis barrier by forming tight junctions with adjacent Sertoli cells.Ref: Ganong's review of medical physiology; 24th edition; page no:-419